Lower lateral cutaneous nerve of arm is a branch of
1. Radial nerve
2. Axillary nerve
3. Median nerve
4. Musculocutaneous nerve

Correct answer: 1. Radial nerve

Explanation: Lower lateral cutaneous nerve of arm (C5 , C6 ) is a branch of radial nerve given off in the radial groove . It supplies the skin of the lower half of the lateral side of the arm. B D Chaurasia 7th edition Page no : 79